High energy phosphates required to form one peptide bond:
1. 2
2. 4
3. 6
4. 8

Correct answer: 2. 4

Explanation: 2 ATP & 2 GTP (Total 4 high energy phosphates) required to add 1 amino acid in a growing polypeptide chain. Energy required Function 2 ATP Activation of each amino acid 1 GTP For entry at -site of ribosome during elongation of translation 1 GTP For translocation